CSF production per minute ?
1. 0.30 - 0.35 ml / min
2. 0.5 ml / min
3. 2 ml / min
4. lml / min

Correct answer: 1. 0.30 - 0.35 ml / min

Explanation: A i.e. 0.3 - 0.35 ml/minute